Punishment for voluntarily causing Grevious hurt comes under ?
1. S. 322 IPC
2. S. 323 IPC
3. S. 324 IPC
4. S. 325 IPC

Correct answer: 4. S. 325 IPC

Explanation: Ans. is 'd' i.e., S. 325 IPC